According to WHO classification of ovarian tumors, Brenner's tumor of ovary belongs to :
1. Epithelial tumours
2. Sex cord stromal tumors
3. Germ cell tumours
4. Metastatic tumours

Correct answer: 1. Epithelial tumours

Explanation: - Brenner's tumor is epithelial ovarian tumor. - rare tumor and usually presents as a solid benign tumor. - occur in peri and post menopausal women. - islands of transitional epithelium in a fibrotic stroma giving it a solid appearance. Reference : textbook of gynaecology Sheila balakrishnan, 2nd edition, pg no:272